Serum amyloid associated protein, found in ?
1. Alzheimer's disease
2. Chronic inflammatory states
3. Chronic renal failure
4. Malignant hypertension

Correct answer: 2. Chronic inflammatory states

Explanation: Ans. is 'b' i.e., Chronic inflammatory states